35 year old male presenting with history of bleeding in peripheral smear shows leucocytosis, platelet 50,000/mm3, increased neutrophils, normal lymphocyte, blast 12% and band form, myelocyte andmeta-myelocyte all were increased, along with t(8:21). What is the diagnosis?
1. CLL
2. CML
3. AML
4. MDS

Correct answer: 3. AML

Explanation: . AML